Sputum examination is not useful in diagnosis of-
1. Trichuris trichiura
2. Ancylostoma duodenale
3. Paragonimiasis
4. Strongyloides

Correct answer: 1. Trichuris trichiura